The mechanism of hearing and memory, include all, EXCEPT:
1. Changes in level of neurotransmitter at synapse
2. Increasing protein synthesis
3. Recruitment by multiplication of neurons
4. Spatial Reorganization of synapse

Correct answer: 3. Recruitment by multiplication of neurons

Explanation: Neurons are 'permanent cells' that do not undergo mitotic division in post natal life. The production of neurons stop shortly after birth. Ref: Neurons and Networks: An Introduction to Behavioral Neuroscience By John E. Dowling; Ganong's Review of Medical Physiology, 22nd Edition, Page 259, 270; Robbins Pathologic Basis of Disease, 7th Edition, Page 91